Which are first order neuron in optic pathway-
1. Bipolar cells
2. Ganglionic cells
3. Cells of lateral geniculate body
4. Astrocytes

Correct answer: 1. Bipolar cells

Explanation: in visual sensation first order neurons lies in the bipolar cell layer of retina. Reference: textbook of comprehensive Opthalmology by AK Khurana.